18, 20, 22, 24,26, 28 and 30...Best central tendency is determined by:
1. Mean
2. Media
3. Mode
4. None

Correct answer: 1. Mean

Explanation: Ans. a. MeanIN DISTRIBUTION WITH EXTREME VALUE (OUTLIERS)Most affected measure of central tendency: MeanLeast affected measure of central tendency: ModeMost preferable measure of central tendency: Median